Most common organism causing carcinoma cervix:
1. HPV33
2. HPV18
3. HPVI6
4. HPV31

Correct answer: 3. HPVI6

Explanation: Ref: Dutta textbook of gynecology 5th ed pg 312Explanation:High risk HPV strains (16, 18, 31, 33 and 35) are implicated in 99% of those diagnosed with cervical cancer.There are more than 100 types of HPV. Low-risk HPV typesAbout 30 or so types can cause genital infectionsHPV 6 and HPV 11 cause genital warts.The warts are rarely associated with cervical cancers,They are considered 'low-risk" HPV High-risk HPV typesCertain HPV types are classified as "high-risk" because they lead to abnormal cell changes and can cause genital cancers: cervical cancerThe most common of the high-risk strains of HPV are types 16 and 18. which cause about 70%' of all cervical cancers.The most common strain of high-risk HPV is (type 16).